Uterine blood flow at term :
1. 50 ml/min
2. 450 ml
3. 550ml
4. 750 ml/min

Correct answer: 4. 750 ml/min

Explanation: Uterine blood flow is increased from 50 ml/min in non pregnant state to about 750 my near term. Ref:Datta Obs 8e pg 61.